Where is the triglycerides stored in the human body?
1. Nerve cells
2. Adipose tissues
3. Both
4. None

Correct answer: 2. Adipose tissues

Explanation: Triglycerides are stored in adipose tissues.